Pericardiocentesis is done in wich intercoastal space-
1. Left 5th intercostals space
2. Left 7th intercostals space
3. Right 5th intercostals space
4. Right 6th intercostals space

Correct answer: 1. Left 5th intercostals space

Explanation: Pericardiocentesis (pericardial aspiration) : Aspiration of pericardial effusion is indicated for diagnostic purpose or for treatment of cardiac tanponade. A needle is inserted under echocardiographic guidance medial to the cardiac apex (Lt 5th ics ) or below the xiphoid process, directed upwards towards the left shoulder. Ref: Medicine , Davidson's , 22nd edition, Pg No: 640